Which renal stone is radiolucent?
1. Calcium oxalate
2. Calcium phosphate
3. Uric acid
4. Struvite

Correct answer: 3. Uric acid

Explanation: Ans. (c) Uric acidRef: Robbiris 8thed Table 20-12, Sabiston Textbook of Surgery, 18thed chapter 77,